True about febuxostat:
1. Anti-gout and Xanthine Oxidase inhibitor
2. Purine inhibitor
3. Dose adjustment required in renal impairment
4. Has uricosuric action

Correct answer: 1. Anti-gout and Xanthine Oxidase inhibitor

Explanation: Ref: Katzung's Pharmacology, 14th ed. pg. 662-63* Febuxostat is a non-purine inhibitor of xanthine oxidase and thereby reduces the formation of xanthine and uric acid and is useful in management of gout.* It is 80% absorbed following oral administration and extensively metabolized in the liver.* All of the drug and its metabolites appear in the urine although less than 5% appears as unchanged drug. Because it is highly metabolized to inactive metabolites, no dosage adjustment is necessary for patients with renal impairment.